Intraspecies competition is the competition among -
1. Species
2. Individuals of a population
3. Individuals of a community
4. Populations and their regulatory factors

Correct answer: 2. Individuals of a population